In cholangiography CBD stone appears as ?
1. Meniscus sign
2. Cut off sign
3. Slight flow of dye from the sides of stone
4. Chain of lake appearance.

Correct answer: 1. Meniscus sign

Explanation: Ans is a ie Meniscus sign